Bile is concentrated in the gall bladder to _________ times
1. 10-May
2. 15-Oct
3. 20-30
4. 40-50

Correct answer: 1. 10-May